Not seen with controlled ventilation set at:
1. Barotrauma
2. Alkalosis
3. Pulmonary embolism
4. Cardiac Temponade

Correct answer: 4. Cardiac Temponade

Explanation: D i.e. Cardiac Temponade Prolonged controlled ventilation may cause barotrauma & pulmonary embolismQ. And CO2 wash out causes alkalosisQ in controlled ventilation. Intermittent Positive Pressure Ventilation (IPPV) Pathophysiological change - AlkalosisQ dlt CO2 wash out Reduced cardiac outputQ due to decreased venous return because of elevated intrathoracic pressure Increased physiological dead spaceQ because gas flow is directed to more compliant, non dependent areas while blood flow favours dependent areas Complication BarotraumaQ dlt high peak inflation pressure VolutraumaQ dlt repetitive collapse & expansion of lung - PneumothoraxQ Pulmonary embolismo